All the following statements are true about pityriasis versicolor except
1. Caused by Malasezzia globosa
2. Sphagetti & meat ball appearance on koh mou
3. Fried egg appearance of colonies on SDA
4. Steroids are used

Correct answer: 4. Steroids are used

Explanation: Steroids are contraindicated in pityriasis versicolor
Treatment include:-

Selenium sulfide shampoo, ketoconazole shampoo or cream.